The antibacterial agent which can be used intranasally as the prophylaxis against recurrent S.aureus infection is:
1. Cefazolin
2. Mupirocin
3. Gentamicin
4. Moxifloxacin

Correct answer: 2. Mupirocin

Explanation: Mupirocin is a simple agent which can be used intranasally as prophylaxis against S.aureus. Ref: Harrisons Edition-18, Page : 1148, Table-133/9.